Which of the following part of the ear is most commonly involved in otosclerosis?
1. Oval window
2. Round window
3. Tympanic membrane
4. Malleus

Correct answer: 1. Oval window

Explanation: While otosclerosis may potentially involve any part of the bony labyrinth, it carries a distinct predilection for the region near the anterior border of the oval window (fissula ante fenestram).